Which of the following is an example of type IV hypersensitivity:
1. Arthrus reaction
2. Serum sickness
3. Schwartzmann reaction
4. Granulomatous reaction

Correct answer: 4. Granulomatous reaction

Explanation: Answer is D (Granulomatous reaction): Gramdomatous inflammation/Granuloma formation is typical cif reaction to poorly digestible agents elicited tuberculosis, leprosy, fungal infection etc. It is type IV hypersensitivityQ - Robbins Ahrus reaction and serum sickness are forms of type III hypersensitivity.Q Schwazmann reaction is not an immune reaction at all. It is rather an alteration in factors affecting intravascular coagulation.